Visual hallucinations are least likely to be found in which of the following?
1. Alcohol withdrawal delirium
2. Central anticholinergic delirium
3. Lewy body dementia
4. Schizophrenia

Correct answer: 4. Schizophrenia

Explanation: Visual hallucinations are most common in organic psychiatric disorders. Though, visual hallucinations can be seen in schizophrenia, they are not as common. M/C hallucination seen in patient of schizophrenia is auditory hallucination.